A pt. presents in the emergency with a cervical spine fracture. First thing to do is :
1. Locate the fracture by shifting the pt. side to side
2. X-ray of spine
3. Clear the airway and intubate him
4. Immobilise the cervical spine

Correct answer: 4. Immobilise the cervical spine

Explanation: Ans. is 'd' ie. Immobilise the cervical spine "Injury to the cervical spine is assumed in the presence of injury above the clavicle, loss or alteration of conscious level, involvement in high-speed collisions or where there is H/o neck pain. Airway assessment and management is performed with the cervical spine immobilised in the neutral position by manual inline immobilization or by a well-fitting neck brace, sandbags and forehead tape."- Bailey & loveThus before beginning the ABC of management cervical spine is immobilised.